Tear drop sign is seen in:
1. Fracture of floor of orbit
2. Fracture of lateral wall of nose
3. Le Fort's fracture
4. Fracture on zygomatic arch

Correct answer: 1. Fracture of floor of orbit

Explanation: "Tear Drop" sign is a radiological sign seen in blow out fracture of orbit. It signifies entrapment and herniation of orbital content through a defect in floor of orbit into maxillary antrum.